which one of the following is not a component of THORACOSORE ?
1. Performance status
2. complication of surgery
3. ASAgrading
4. Priority of surgery

Correct answer: 2. complication of surgery

Explanation: Thoraco score is a score used to predict the in hospital mortality in a patient require thoracic surgery REF : BAILEY AND LOVE 27TH ED